Commonest sign of aspiration pneumonitis is :
1. Cyanosis
2. Tachypnea
3. Crepitations
4. Rhonchi

Correct answer: 2. Tachypnea

Explanation: Answer is B (Tachyapnea): Aspiration pneumonitis is characterized by an acute onset of dyspnea, tachypnea, bronchospasm and cyanosis with a chest radiograph often showing diffuse opacities. - Harrisons Dyspnea tachypnea are certainly the earliest manifestations to appear following aspiration of any material. The commonest and the earliest 'sign' of aspiration pneumonitis thus would be tachypnea.